A female comes with normal breast development but a scanty pubic hair is suffering from?
1. Turner s syndrome
2. Testicular feminizing syndrome
3. Mullerian agenesis
4. Gonadal digenesis

Correct answer: 2. Testicular feminizing syndrome

Explanation: ANSWER: (B) Testicular feminizing syndromeREF: Current OB/GYN 10th edition Chapter 5Androgen insensitivity syndrome (AIS), formerly known as testicular feminization, is an X-linked recessive condition resulting in a failure of normal masculinization of the external genitalia in chromosomally male individuals.Most cases of androgen insensitivity syndrome (AIS) are identified in the newborn period by the presence of inguinal masses, which later are identified as testes during surgery. Some patients are first seen in the teenage years for evaluation of primayr amenorrhea. Many of these patients have a history of surgery for hernias and/or the presence of gonads in the inguinal canals, which were considered ovaries and returned to the abdomen.